Fetal Hb is replaced by adult Hb completly at ?
1. At birth
2. 2 months
3. 4 months
4. 6 months

Correct answer: 4. 6 months

Explanation: Ans. is 'd' i.e., 6 months Synthesis of HbF decreases rapidly postnatally, and by 6-12 months of age only a trace is present.